A 30 yr old female presents with history of itching under right breast. On examination annular ring lesion was present under the breast. The diagnosis is :
1. Trichophyton rubrum
2. Candida albicans
3. Epidermophyton
4. Microsporum

Correct answer: 1. Trichophyton rubrum

Explanation: Ans. is 'a' ie Trichophyton rubrum The findings of itchy annular ring lesions on the trunk point towards the diagnosis by Tinea corporis.Though Tinea corporis can be caused by all the three - Trichophyton Epidermophyton and Microsporum; Trichophyton rubrum is the most common cause.